Among of following IUCD's which has life span for 10 years :
1. CuT380A
2. CuT200
3. Nova T
4. Multiload

Correct answer: 1. CuT380A

Explanation: Ans. is a i.e. CuT380A